Pseudopelade is
1. Alopecia steatoides
2. Alopecia mucinosa
3. Traction alopecia
4. Cicatricial alopecia

Correct answer: 4. Cicatricial alopecia

Explanation: Pseudopelade of Brocq is an idiopathic, chronic, slowly progressive, patchy cicatricial alopecia that occurs without any evidence of inflammation. It is primarily atrophy rather than an inflammatory folliculitis. The term pseudopelade was first used by Brocq to distinguish this condition from the 'pelade' of alopecia areata. In recent times, the term pseudopelade has been used to describe a generic scarring alopecia, the end result of any number of different pathological processes, and the interchangeable use by some of 'pseudopelade' and 'pseudopelade of Brocq' has led to confusion in the literature. Pseudopelade of Brocq is an unusual form of permanent hair loss from the scalp, the cause of which is unknown. This is a specific diagnosis reached after excluding known causes of patchy scarring alopecia (pseudopelade) such as lichen planopilaris and discoid lupus erythematosus. ref Robbins 9/e pg 677